Which of the following is most resistant to gonococcal infection -
1. Prostate
2. Epididymis
3. Testis
4. Urethra

Correct answer: 3. Testis

Explanation: Ans. is 'c' i.e., Testis